Absent radius is seen in all except
1. Haltoram
2. Fanconi anaemia
3. Trisomy 13
4. Ectoderm dyplasia

Correct answer: 4. Ectoderm dyplasia

Explanation: Ectodermal dysplasia (ED) is not a single disorder but a group of genetic syndromes all deriving from abnormalities of the ectodermal structures:570 More than 150 different syndromes have been identified. Ectodermal dysplasias are described as "heritable conditions in which there are abnormalities of two or more ectodermal structures such as the hair, teeth, nails, sweat glands, salivary glands, cranial-facial structure, digits and other parts of the body. Absent radius is not seen in ectodermal dysplasia Ref Robbins 9/e pg 145